In which condition Thrombin time is raised -
1. Afibrinogenemia
2. Hemophilia
3. Factor XII deficiency
4. von Willebrand's disease

Correct answer: 1. Afibrinogenemia